Sprengel's deformity is -
1. Absence of clavicle
2. Acomioclavicular dislocation
3. Congenital elevation of scapula
4. Recurrent dislocation of shoulder

Correct answer: 3. Congenital elevation of scapula

Explanation: Ans. is 'c' i.e., Congenital elevation of scapula Congenital high scapula tsprengefs shoulder)o Congenital high scapula is an uncommon congenital deformity characterized by an abnormally high position and relative fixity of scapula.o The anomaly represents a failure of the scapula to descend during development to its normal thoracic position.